Copper containing enzyme is:
1. Dopamine hydroxylase
2. Dopamine decarboxylase
3. Dopamine carboxylase
4. Tyrosine hydroxylase

Correct answer: 1. Dopamine hydroxylase

Explanation: Ans. (a) Dopamine hydroxylaseRef: Harper's Biochemistry, 30lh edn. pg. 561* Those enzymes that require inorganic metal ions as their cofactor are termed as metalloenzymes aka cofactors.* Dopamine hydroxylase is a copper-containing enzyme involved in the synthesis of the catecholamines: Norepinephrine and Epinephrine from tyrosine in the adrenal medulla and central nervous system.* Ascorbic acid is also linked with copper containing hydroxylases such as peptidoglycine hydroxylase and dopamine hydroxylase. Dopamine decarboxylase requires pyridoxal phosphate for the conversion of L-dopa to 3,4-dihydroxyphenylethylamine.Metals and their MetalloenzymesMetalMetalloenzymesCopperCytochrome oxidase, Lysyl oxidase, Dopamine Hydroxylase, ascorbic acid oxidase, Tyrosinase, Ferroxidase (Ceruloplasmin), Superoxide DismutaseMagnesiumHexokinase, PFK, Glucose-6-phosphatase, Kinases, Thermostable DNA polymerases, Enolase, Creatinine kinaseSeleniumGlutathione peroxidaseMolybdenumXanthine oxidaseCalciumLipase, LecithinaseIronCytochrome oxidase, Xanthine oxidase, Catalase, PeroxidaseNickelUrease